Breast-feeding 26 year old woman came to OPD with complains of redness and pain of and around nipple associated with purulent discharge from nipple. On culture of discharge ,Staphylococcus aureus was cultured. Which of the following statement is true about condition of patient?
1. Mostly occurs during the first month of breastfeeding
2. NSAIDs are contraindicated in this condition
3. Patient is suffering from Periductal Mastitis
4. Breast feeding is contraindicated

Correct answer: 1. Mostly occurs during the first month of breastfeeding

Explanation: Patient is having Acute Mastitis Occur in Breast feeding young female Mostly occurs during the first month of breastfeeding D/t Staphylococcus aureus leading to pus formation C/F Pain, fever ,nipple discharge ( purulent) Swelling Diagnosis : USG Treatment NSAIDs Antibiotic for staph areus ( penicillin gp) Aspiration Incision and drainage Breast feeding is not contraindicated